Right anterior oblique view of chest X–ray true is/are – a) Cassette near right shoulderb) Cassette near left shoulderc) Arch of Aorta best seend) Left atrial enlargement can be diagnosede) Mitral & tricuspid valves better seen
1. ad
2. c
3. ac
4. ab

Correct answer: 1. ad

Explanation: In RAO view of chest, the patient is rotated 45° to the left (right side is more forward) and the cassette is close to the right front (right shoulder) of the patient. The RAO view is generally used for the assessment of the pulmonary artery, right ventricle, and size of the left atrium.